Maximum global warming is by-
1. Desflurane
2. Isoflurane
3. Sevoflurane
4. Halothane

Correct answer: 1. Desflurane

Explanation: Ans. is 'a' i.e., Desfluraneo Desflurane is a greenhouse gas.o It causes maximum global warming.Global warming potential (as an equal amount of CO2)Isoflurane210 timesSevoflurane510 timesDesflurane1620 times